Maximum duration of action is seen with
1. Atracurium
2. Rocurium
3. Pancuronium
4. Rapacurium

Correct answer: 3. Pancuronium

Explanation: Non-depolarising blockers : Long acting (>50mins) : d-Tubocurare, Pancuronium, Doxacurium, Pipecuronium. Intermediate acting (20-50mins) : Vecuronium, Atracurium ,Cisatracurium, Rocuronium . Short acting (<20mins) : Mivacurium,Rapacuronium.